Regression of milestones is seen in all except
1. Childhood disintegrative disorder
2. Retts syndrome
3. Landau kleffner syndrome
4. Klein levin syndrome

Correct answer: 4. Klein levin syndrome

Explanation: Regression refers to loss of learned brain functions and is a symptom characteristic choice 1,2,3